Which of the following is not mortality reducing drug in Heart failure with reduced ejection fraction(HFrEF)?
1. Metoprolol
2. Digoxin
3. Captopril
4. K+sparing diuretics

Correct answer: 2. Digoxin

Explanation: Digoxin is not mortality reducing drug in HFrEF. Mortality reducing drug in patients with HFrEF: ACE inhibitors Angiotensin receptor blockers (ARBs) Angiotensin receptor blocker with Neprilysin Inhibitor (ARNI) Beta blockers Mineralocorticoid receptor antagonists Spironolactone Eplerenone Isosorbide dinitrate + Hydralazine